Which of the following drugs is used to reverse the effect of d-tubocurarineh -
1. Atropine
2. Neostigmine
3. Physostigmine
4. Organophosphorus

Correct answer: 2. Neostigmine

Explanation: Ans. is 'b' i.e., Neostigmine o D-tubocurarine is a competitive neuromuscular blocker. o Anticholinesterases are used to reverse the action of competitive neuromuscular blocker. o "Neostigmine is an anticholinesterase which is almost routinely used after pancuromium and long acting blocker to hasten the recovery at the end of operation".